Ropinirole is the most useful for the treatment of ?
1. Parkinson's disease
2. Wilson's disease
3. Hoffman's syndrome
4. Carpal tunnel syndrome

Correct answer: 1. Parkinson's disease

Explanation: Ans. is 'a' i.e., Parkinson's disease o Ropinirole is a recently developed non-ergot, selective D/D3 receptor agonist with negligible activity for D, and nondopaminergic receptor.